All of the following may precipitate digitalis toxicity except -
1. Hypocalcemia
2. Hypokalemia
3. Hypomagnecemia
4. Hypothyroidism

Correct answer: 1. Hypocalcemia